Trident hand is seen in:
1. Achondroplasia
2. Mucopolysacchoroidosis
3. Diphyseal achlasia
4. Cleidocranial dystosis

Correct answer: 1. Achondroplasia

Explanation: A i.e. Achondroplasia